Which of the following adverse effects is characteristically associated with methysergide?
1. Pulmonary hypertension
2. Retroperitoneal fibrosis
3. Hepatotoxicity
4. Ischemic heart disease

Correct answer: 2. Retroperitoneal fibrosis

Explanation: All ergot derivatives can cause fibrosis on long term use. Due to risk of retroperitoneal fibrosis, methysergide should never be given continuously for more than 6 months.